Which of the following perinatal infections has the highest risk of fetal infection in the first trimester
1. Hepatitis B virus
2. Syphillis
3. Toxoplasmosis
4. Rubella

Correct answer: 4. Rubella

Explanation: RUBELLA Possibility of fetal infection is almost 90% when maternal transmission occurs during 1st trimester. its around 50% in the second trimester. Some of the possible effects are: Sensorineural Hearing loss, eye defects like cataracts and micro ophthalmia, Heart diseases like septal defects, Pulmonic stenosis, intellectual disability. Also seen are Neonatal purpura, radiolucent bone disease & hepatospleenomegaly